Paterson Brown Kelly syndrome is characterized by all except
1. Premalignant
2. Lower esophageal web
3. Iron deficiency anemia
4. Common in female

Correct answer: 2. Lower esophageal web

Explanation: Upper esophageal/ Post cricoid webs are seen . ref - Harrisons internal medicine 20e pg 566 , davidson medicine 23e pg796